If biochemical test gives the same reading of r given sample on repeated testing, it is inferred that the measurement is -
1. Precise
2. Accurate
3. Specific
4. Sensitive

Correct answer: 1. Precise